Flat was is caused by which HP types:
1. 2, 4
2. 3,10
3. 16,18
4. 5, 8

Correct answer: 2. 3,10

Explanation: Ans. b. 3, 10